Triage means classification of injuries based on -
1. Severity of injury
2. Mode of injury
3. Treatment of protocol
4. Supervision

Correct answer: 1. Severity of injury

Explanation: -triage consists of rapidly classifying the injured on the basis of severity of their injuries and the likelihood of their survival with prompt medical intervention. - classification is based on internationally accepted four colour code system. Reference: Park's textbook of preventive and social medicine, 23rd edition, pg no: 796